Propranolol is useful in all except
1. Atrial flutter
2. Parkinsonian tremor
3. Thyrotoxicosis
4. Hypertrophic cardiomyopathy

Correct answer: 2. Parkinsonian tremor

Explanation: Ans. (B) Parkinsonian tremor(Ref: KDT 8th/e p164)Propranolol is useful in the management of tremor due to overdose of sympathomimetic agents (b2 mediated). Metoprolol as well as propranolol are effective in essential or familial tremor (b1 mediated). b -blockers are ineffective in intention tremor and rest (parkinsonian) tremors.